A normal-anion-gap metabolic acidosis occurs in patients with
1. Diarrhoea
2. Diabetic ketoacidosis
3. Methyl alcohol poisoning
4. Acute renal failure

Correct answer: 1. Diarrhoea

Explanation: During diarrhea, there is a loss of water, sodium, bicarbonate, and potassium in the fecal fluid leading to dehydration.Contraction of the extracellular fluid causes hyperchloremia.Hence the decrease in HCO3- is compensated by the corresponding increase in Cl- causing normal AG Metabolic acidosis. High anion gap acidosisNormal anion gap acidosisLactic acidosisKetoacidosisToxin ingestionAcute & chronic renal failure DiarrheaFistulaUretero-sigmoidostomyProximal renal tubular acidosis Carbonic anhydrase inhibitorsMineralocoicoid deficiencyRef: Harrison's 18/e p368